Most common cause of death after Total Hip Replacement is- DELETE
1. Infection
2. Pneumonia
3. Anemia
4. Thromboembolism

Correct answer: 4. Thromboembolism

Explanation: *Thromboembolic disease is the most common cause of death after total hip replacement. REF:Ref:Orthopaedics secrets 3rd/e p.34